WHO Rose Questionnaire is used for -
1. Alcohol Addiction
2. Angina Assessment
3. DVT Assessment
4. Arrhythmia Assessment

Correct answer: 2. Angina Assessment

Explanation: Ans. is 'b' i.e., Angina AssessmentThe London school of Hygjne chest pain questionnaire-The Rose questionaire (version for self administration)PARTAa)Have you ever had any pain or discomfort in your chest# Yes# Nob) Do you get this pain or discomfort when you walk uphill or hurry?# Yes# Noc) Do you get it when you walk at an ordinary pace on the level?# Yes# Nod) When you get any pain or discomfort in your chest what do you do ?# Stop# Slow down# Continue at the same pacee)Does it go away when you stand still?# Yes# Nof) How soon# 10 minutes or less# More than 19 minutesg) Where do you get this pain or discomfort? Mark the place (s) with an X on the diagram.PARTBHave you ever had a severe pain across the front of your chest lasting for half an hour or more# Yes# NoDEFINITIONS OF POSITIVE CLASSIFICA TIONa) Angina 'Yes' to (a) and (b)'Stop' or 'Slow down' to (d),'Yes'to (e)' 10 minutes or less' to (f)Site must include either strenum (any level) or L. anterior chest and left arm.Grade 1 = 'No' to (c), Grade 2 = 'Yes' to 'c'b) Possible infarction 'Yes' in this section